A severe blow to a permanent anterior tooth not
resulting in fracture, commonly leads to
1. Pulpal death in the absence of treatment
2. Death of pulp despite treatment
3. Fracture of involved bone
4. Mobility of central incisors

Correct answer: 2. Death of pulp despite treatment